In the management of diabetes mellitus, lactic acidosis is commonly caused by which of the following:
1. Tolbutamide
2. Glipizide
3. Pioglitazone
4. Metformin

Correct answer: 4. Metformin

Explanation: Ans. D: Metformin Medicinal and toxic causes of lactic acidosis Acetaminophen Alcohols and glycols (ethanol, ethylene glycol, methanol, propylene glycol) Antiretroviral nucleoside analogs (zidovudine, didanosine, lamivudine) Beta-adrenergic agents (epinephrine, ritodrine, terbutaline) Biguanides (phenformin, metformin) Cocaine Cyanogenic compounds (cyanide, aliphatic nitriles, nitroprusside) Sugars and sugar alcohols (fructose, sorbitol, and xylitol), Salicylates Strychnine Sulfasalazine Valproic acid Diethyl ether, 5-fluorouracil Halothane, propofol Isoniazid